All of the following transport processes follow 'saturation kinetics' except
1. Facilitated diffusion
2. Na+  - Ca2+ exchanger
3. Simple diffusion
4. Na+ coupled active transport

Correct answer: 3. Simple diffusion

Explanation: Saturation kinetics is seen in transport mechanisms that utilize carrier proteins. In passive transport mechanisms, there is no carrier protein.